Retinopathy of prematurity-risk factors are all except
1. Prematurity
2. Birth weight less than 1.5 kg
3. Excessive oxygen used
4. Polyhydramnios

Correct answer: 4. Polyhydramnios

Explanation: (Refer: AK Khurana Comprehensive Ophthalmology, 6th edition, pg no. 283)Important risk factors for ROM are:-Primary: Prematurity: Gestation age <32 weeks (most important): Birth weight <1.5kg; Oxygen therapy: Excessive oxygen useOther: Sepsis, multiple blood transfusions, apnoeic spells, metabolic acidosis, use of aminophylline & antibiotics